A normal healthy child has a height of 100 cm and weight of 16 kg. What is his most likely age:
1. 3 years
2. 4 years
3. 5 years
4. 6 years

Correct answer: 2. 4 years

Explanation: Ans. B i.e. 4 years Body parameters Body weight doubles at: 5 months Body weight triples at: 1 year Body length increases in 1st year by: 25 cm